Apple jelly noddule is seen in
1. Cutaneous anaphylaxus
2. Lupus vulgaris
3. Erythroderma
4. Eiysepals

Correct answer: 2. Lupus vulgaris

Explanation: Lupus vulgaris o Lupus vulgaris is a chronic and progressive form of cutaneous tuberculosis that occurs in tuberculin sensive paents.
It is the most common type of cutaneous tuberculosis and has most variable presentaon.
Seen in children and young adults, though no age is exempted.
Occurs on exposed area like face (nose, eyelid, pinna); and somemes on buock, trunk.
 Lesions are usually solitary and characterized by : -
i. Reddish brown (erythematous).
ii. Annular in shape.
iii. Indurated.
iv. Slowly increases in size (gradually progressive).
v. Healing with ssue paper like scarring at centre (most common) or edge.
vi. Peripheral crusng.
vii. Blanching with glass slide (diascopy) will reveal grey green foci → Apple jelly nodules.
viii ) Match-sck test posive → Apple jelly nodule has no resistance to pressure by a sharp matchsck.
 Reappearance of new nodules within previously atrophic or scarred lesions is characterisc. Carlage (Ear, nose) in the affected area is progressively destroyed (Lupus vorax); bone is usually
spared. Buccal, nasal and conjucval mucosa may be involved primarily or by extension.
Treatment is antubercula